Emperical use of intravenous amphotericin is indicated in -
1. Candida
2. Blastomycosis
3. Non-responding febrile neutropenia
4. Larva migrans

Correct answer: 3. Non-responding febrile neutropenia

Explanation: Ans. is 'c' i.e., Non-responding febrile neutropenia o Empirical use of i. v. AMB is often made in neutropenic patients whose fever is not responding to i. v. bactericidal antibiotics.Amphotericin Bo It is a polyene antifungalo It is derived from streptomyces nodosus.o It is fungicidal at high concentrations and fungistatic at low concentrations,o It has high affinity for Ergosterol present in fungal cell wall.o It increases the permeability of the fungal cell wall by forming micropores in fungal cell wall,o Amphotericin is not absorbed orally. It is given i.v.o To prevent the toxicity, newer lipid bound i.v. preparations of amphotericin B have been prepared,o These are -(a) Amphotericin B lipid complex (ABLC) (b) Amphotericin B colloidal suspension (ABCD)(c) Liposomal amphotericin Bo Uses -It is D.O.C. fori) Cryptococcosis - used along with Flucytosine ii) Aspergillosis iii) Mucormycosis.